An 18 year old male presents to OPD with pain in lower right tooth region with no remarkable medical history. On intraoral examination, teeth are not carious and respond normally to vitality test. Radiographic examination reveals well-defined multilocular radiolucency with scalloping around the root of 43. What is the most probable diagnosis?
1. Dentigerous cyst
2. Stafne bone cyst
3. Simple bone cyst
4. Residual cyst

Correct answer: 3. Simple bone cyst

Explanation: Simple bone cyst are very common. Most occur in the first 2 decades of life, with a mean age of 17 years. The lesion shows a male predominance  of  approximately  2 : 1.  Multiple  SBCs  can  develop, especially when the disorder occurs with cemento-osseous dysplasia. The occurrence of SBCs in cemento-osseous dysplasia is seen in an older population, with a mean age of 42 years, and with a female predominance of 4 : 1. SBCs are asymptomatic in most cases, but occasionally pain or tenderness may be present, especially if the cyst has become secondarily infected. Expansion of the mandible or tooth movement is possible but unusual. The teeth in the affected region usually are vital. Most SBCs are discovered  by chance, during radiographic examinations, and for this reason they can become quite large. There is no significant incidence of pathologic fractures. Aspiration usually produces only a few milliliters of straw-colored or serosanguineous fluid.
Oral Radiology, Principles and Interpretation / Stuart C. White, Michael J. Pharoah - 7th ed pg-354